All the following types of hypersensitivity reactions can be demonstrated by skin test except ?
1. Type I
2. Type II
3. Type III
4. Type IV

Correct answer: 2. Type II

Explanation: Ans. is 'b' i.e., Type II Has been explained